Addison's disease is characterized by all except:
1. Hyperglycemia
2. Hypotension
3. Hyperkalemia
4. Hyponatremia

Correct answer: 1. Hyperglycemia

Explanation: Answer is A (Hyperglycemia) Abnormal Laboratory parameters in Addison's disease include: HyponatremiaQ * Loss of sodium in urine due to ,i, Aldosterone HyperkalemiaQ * Aldosterone deficiency * Impaired glomerular filtration * Acidosis HypercalcemiaQ * Unclear reason Hypoglycemia Decreased chlorideQ Decreased bicarbonateQ